Human plasma lipoprotein containing the highest percentage of triacylglycerol by weight is:
1. VLDL
2. Chylomicrons
3. HDL
4. LDL

Correct answer: 2. Chylomicrons

Explanation: Triacylglycerol or triglyceride is an ester that is derived from glycerol and three fatty acids. Chylomicrons are lipoproteins that are lowest in density and largest in size which contains the highest percentage of triacylglycerol and the smallest percentage of protein. Besides containing 80 to 95 percent triglyceride, chylomicrons contain 2 to 7 percent cholesterol, 3 to 6 percent phospholipid, and 1-2 percent protein. Ref: Lippincott's Illustrated Reviews: Biochemistry, 3rd Edition, Page 225; Fitness and Health By Brian J. Sharkey, Steven E. Gaskill, 2007, Page 274.